Sepsis screen includes all the following EXCEPT?
1. Total leucocyte count
2. Absolute neutrophil count
3. Platelet count
4. IT ratio

Correct answer: 3. Platelet count

Explanation: Sepsis screen includes Total leukocyte count (TLC) < 5000/mm3 Absolute Neutrophil count (ANC) < 1800/mm3 Immature to total neutrophil (IT) ratio > 0.2 Micro ESR > 15 mm in 1st hour C Reactive protein (CRP) positive: >1mg/dL If any 2 out of following 5 present, sepsis screen is said to be positive.